Most accurate treatment of erectile dysfunction:
1. Sildenafil
2. Master and johnson technique
3. B-blockers
4. Papaverine

Correct answer: 1. Sildenafil

Explanation: A i.e. SildenafilSildenafil is only approved & effective oral agent for erectile dysfunctionQ. It is useful in wide range of e.d.including - pyschogenic, diabetogenic, vasculogenic, post radical prostatectomy (nerve sparing procedure) & spinal cord injury.It acts by inhibiting phosphodiesterase - 5 (PDE-5)Q & releasing NOQ from nerve endings & endotheliumOther t/t for Erectile dysfunction are:PIPE therapy (PapaverineQ/ Phentolamine Induced Penile Erection)- AndrogenIntraurethral - alprostodil (PGE1)Penile prosthasis, vaccum constriction deviceMaster Johnson technique is for premature ejaculationQp Blockers can cause erectile dysfunctionQ